What is the mechanism of an acoustic shadow seen on USG?
1. Refraction
2. Reflection
3. Artifacts
4. Obstruction

Correct answer: 2. Reflection

Explanation: An acoustic shadow is an echo free area located behind an insonated structure. It is caused by total reflection of the ultra sound waves causing a shadow behind it. Reference: The Practice of Ultrasound: A Step-by-Step Guide to Abdominal Scanning By Berthold Block page 49.